The suboccipital triangle is bounded superolaterally by:
1. Rectus capitis posterior major muscle
2. Rectus capitis posterior minor muscle
3. Superior oblique muscle
4. Inferior oblique muscle

Correct answer: 3. Superior oblique muscle

Explanation: Ref: BDC -194
Boundaries
Superomedially: Rectus capitis posterior major muscle supplemented by the rectus
capitis posterior minor.

Superolaterally: Superior oblique muscle.

Inferiorly: Inferior oblique muscle.

Roof
Medially: Dense fibrous tissue covered by the semispinalis capitis.
Laterally: Longissimus capitis and occasionally the splenius capitis.

Floor
1. Posterior arch of atlas.
2. Posterior atlanto-occipital membrane

Contents
1. Third part of vertebral artery.
2. Dorsal ramus of nerve C1 – suboccipital nerve.
3. Suboccipital plexus of veins.